Keratoderma blenorrhagica is seen in
1. Pityriasis versicolor
2. Reiter's disease
3. Lichen nitidus
4. Pityriasis rubra pilaris

Correct answer: 2. Reiter's disease

Explanation: Keratoderma blenorrhagica is hyperkeratotic lesions over palms & soles which ooze pus.It is a cutaneaus manifestation of Reiter's disease characterized by triad of arthritis,urethritis & conjuctivitis.